Which of the following RNA has abnormal purine bases:
1. tRNA
2. mRNA
3. rRNA
4. 16S RNA

Correct answer: 1. tRNA

Explanation: t RNA has unusual bases such as Dihydrouracil (DHU), pseudouridine, hypoxanthine. Ref: Textbook of Biochemistry By DM Vasudevan, 3rd Edition, Pages 355-6 ; Lippincott Biochemistry, Pages 379, 344